Transport medium most commonly used for vibrio cholera is?
1. TCBS medium
2. Venkatraman Ramakrishna medium
3. Sodium taurocholate medium
4. Thayer martin medium

Correct answer: 2. Venkatraman Ramakrishna medium

Explanation: Ans. (b) Venkatraman Ramakrishna mediumRef: Textbook of microbiology- Ananthanarayan & Paniker 7th ed /306, textbook of microbiology and immunology-parija / 308